Longest acting insulin is
1. Global zinc suspension
2. Insulin- zinc suspension
3. Neutral protamine hagedorm (NPH)
4. Protamine- zinc insulin

Correct answer: 4. Protamine- zinc insulin

Explanation: (Protamine zinc insulin) (259-KDT 6th)Types of Insulin Preparations and Insulin analogues1. Rapid acting- Insulin lispro, Insulin aspart, Insulin glulisine2. Short acting- Regular (soluble) insuline3. Intermediate acting- Insulin zinc suspension or Lente, Neutral protamine hagedorm (NPH) or Isophane insulin4. Long acting- Protamine zinc insulin (PZI), Insulin glargine